Energy producing enzymes are located in
1. Rough endoplasmic reticulum
2. Ribosomes
3. Golgi apparatus
4. Mitochondria

Correct answer: 4. Mitochondria

Explanation: In mitochondria, enzymes for energy metabolism and protein synthesis can be found.